Artery supplying major part of superolateral surface of brain is
1. Middle cerebral artery
2. Anterior cerebral artery
3. Posterior cerebral artery
4. Vertebral artery

Correct answer: 1. Middle cerebral artery

Explanation: The middle cerebral artery is the largest terminal branch of the internal carotid artery and it runs laterally in the lateral cerebral sulcus of the brain.It supplies the entire lateral surface of the cerebral hemisphere except the narrow strip along the superomedial border extending from the frontal pole to the parieto-occipital sulcus(which is supplied by the anterior cerebral artery) and the occipital pole and inferior temporal gyrus (both of which are supplied by the posterior cerebral artery).